Features of fetal Alcohol syndrome include -
1. IUGR
2. VSD
3. Low IQ
4. All of the above

Correct answer: 4. All of the above

Explanation: Ans. is 'd' i.e., All of the aboveFeatures of Fetal Alcohol Syndrome* Growth restriction* Craniofacial anomalies* Behavioral disturbances* Absence or hypoplastic philtrum* Brain defects* Flattened nasal bridge* Cardiac defects (ASD,VSD)* Hypoplastic upper lip vermillion* Spinal defects* Micrognathia* Microphthalmia * Short nose * Short palpebral tissues